Transcytosis occurs in
1. M cells of intestine
2. Neuroglia
3. Pneumocytes
4. Axonlemma

Correct answer: 1. M cells of intestine

Explanation: In transcytosis, vesicles undergo Endocytosis on one side of a cell and then undergo exocytosis on the opposite side of the cell. Transcytosis is mostly seen in capillaries but also seen in M cells of intestine, osteoclasts,neurons (Ref: Ganong's Review of medical physiology)